Oedipus complex has been described by -
1. Plato
2. Socartes
3. Freud
4. Huxley

Correct answer: 3. Freud

Explanation: Oedipus complex is described by Freud in psychosexual stages of development.